Thornwaldt's cyst is seen in:
1. Larynx
2. Nasopharynx
3. Base of tongue
4. Floor of mouth

Correct answer: 2. Nasopharynx

Explanation: Thomwaldt's cyst arises from pharyngeal bursa. The latter is located in the middle of posterosuperior wall of the nasopharynx surrounded by adenoid tissue.Rathke's pouch is represented by a dimple high in the nasopharynx. Inferior to this within the adenoid mass is the pharyngeal bursa.